Antiemetic action is produced through:
1. Decreased CTZ stimulation
2. H1 agonistic action
3. D1 antagonistic action
4. Olfactory apparatus stimulation

Correct answer: 1. Decreased CTZ stimulation

Explanation: Mechanism of action of antiemetic drugs are: Anticholinergic e.g hyoscine H1 antihistaminics e.g promethazine,diphenyhydramine,cyclizine. 5-HT3 antagonists e.g ondansetrone,granisetron Prokinetics. 5HT4 agonists e.g cisapride. Motilin agonist e.g erythromycin. CTZ contains histamine dopamine,cholinergic,opioid and serotonin receptors.antiemetic acts by inhibiting the receptors at CTZ.( ref KDT 6/e p643)